Prokaryote is -
1. Bacteria
2. Mycoplasma
3. Blue green algae
4. All

Correct answer: 4. All

Explanation: Ans. is 'a' i.e., Bacteria; 'b' i.e., Mycoplasma; 'c' i.e., Blue green algae